Which nerve is compressed in carpal tunnel syndrome ?
1. Median nerve
2. Ulnar nerve
3. Radial nerve
4. Axillary nerve

Correct answer: 1. Median nerve

Explanation: Ans. is 'a' i.e., Median nerve